Not a component of Kiesselbach's plexus:
1. Superior labial artery
2. Posterior ethmoidal
3. Sphenopalatine
4. Greater palatine

Correct answer: 2. Posterior ethmoidal

Explanation: Ans-B Ref: Diseases of the Ear, Nose, and Throat by PL Dhingra 5th edn .2010.page 190 Explanation: Kiesselbach's plexus is situated in the Little's area which is the anterior inferior part of the septum Arteries forming the Kiesselbach's Plexus Anterior ethmoidal artery Septal branch of the superior labial artery Greater palatine artery Sphenopalatine arteries artery (See figure on the next page)